Features of Laurence-Moon-Biedl syndrome include:
1. Hypogonadism
2. Obesity
3. Polydactyly
4. All of the above

Correct answer: 4. All of the above

Explanation: d. All of the above(Ref: Nelson's 20/e p 2514, Ghai 8/e p 532)Laurence-Moon Syndrome: It is an autosomal recessive disorder of hypogonadotrophic hypogonadism, which is characterized by intellectual disability, obesity, polydactyly, retinitis pigmentosa and hypogonadism.